A child presented with non blanching purpura in the lower limb recurrent abdominal pain further in revealed deposition of IgA. What is the most probable diagnosis
1. Henoch schonlein purpura
2. Wegeners granulomatosis
3. Kawasaki disease
4. Takayasu disease

Correct answer: 1. Henoch schonlein purpura

Explanation: Probable diagnosis is Henoch-Schonlein purpura . Henoch-Schonlein purpura is a small-vessel vasculitis caused by immune complex deposition following an infectious trigger. It is predominantly a disease of children and young adults. The usual presentation is with purpura over the buttocks and lower legs, accompanied by abdominal pain, gastrointestinal bleeding and arthralgia. Nephritis can also occur and may present up to 4 weeks after the onset of other symptoms. Biopsy of affected tissue shows a vasculitis with IgA deposits in the vessel wall. Henoch-Schonlein purpura is usually a self-limiting disorder that settles spontaneously without specific treatment. Glucocorticoids and immunosuppressive therapy may be required in patients with more severe disease, particularly in the presence of nephritis. Ref - davidsons 23e p1043